All are given in anterior uveitis except –
1. Pilocarpine
2. Atropine
3. Cyclophosphamide
4. Corticosteroids

Correct answer: 1. Pilocarpine